Patient can be diagnosed for improper oral hygiene maintenance by
1. Proper dietary history
2. Disclosing agents
3. Lactobacillus count
4. Swab test

Correct answer: 2. Disclosing agents